In personality disorder, features are all except
1. Ego dystonic
2. Starts in childhood
3. Behaviour is maladaptive
4. Disorder results in personal distress

Correct answer: 1. Ego dystonic

Explanation: Personality disorders are rigid, maladaptive and produce functional impairment or subjective distress. They have an onset in adolescence or early adulthood; is stable through time; leads to unhappiness and impairment; and manifests in atleast two of the four areas: cognition, affectivity, interpersonal function or impulse control. They are Ego Syntonic in nature. Ref: Synopsis of Psychiatry, 11e, pg 742.